Sensations of spinothalamic tract are:
1. Pain, temperature & undifferentiated touch
2. Static proprioception
3. Temperature only
4. Proprioception

Correct answer: 1. Pain, temperature & undifferentiated touch

Explanation: Ans: a (Pain, temperature & undifferentiated touch)Ref: Ganong, 22nd ed Pg.141Dorsal column transmits:Anterior spinothalamic tract transmits:Fine touchCrude touchVibrationPressureJoint position sense Lateral spinothalamic tract transmits:Cortical sensations:PainTactile localisationTemperatureTwo point discriminationStereognosisSensory inattentionGraphaesthesia